A patient with Renal cell carcinoma is on treatment with Erythropoetin. Erythropoetin use may be associated with all of the following, except:
1. Decreased reticulocytes
2. Increased hemtocrit
3. Increased hemoglobin
4. Eliminates need for transfusion

Correct answer: 1. Decreased reticulocytes

Explanation: Treatment with erythropoietin stimulates erythrocyte production and results in an increase in reticulocyte count. Reticulocyte count is not decreased. So 'Decreased reticulocytes is the single best answer of choice'. Ref: Harrison's Principles of Internal Medicine, 16th Edition, Page 667